Visceral noxious stimuli is mediated by
1. A alpha
2. A bita
3. A y
4. C

Correct answer: 4. C

Explanation: Group C nerve fibers are one of three classes of nerve fiber in the central nervous system and peripheral nervous system. The C group fibers are unmyelinated and have a small diameter and low conduction velocity. They include Postganglionic fibers in the autonomic nervous system (ANS), and nerve fibers at the dorsal roots (IV fiber). These fibers carry sensory information. Damage or injury to nerve fibers causes neuropathic pain. Capsaicin activates C fibers Vanilloid receptors, giving chili peppers a hot sensation.Ref: Ganong's review of medical physiology 23rd edition Page no: 89